The aminoacid carboxylated by vitamin K is
1. Histidine
2. Aspartate
3. Proline
4. Glutamate

Correct answer: 4. Glutamate

Explanation: Vitamin  K  acts as a coenzyme for the carboxylation  of glutamic  acid residues present in the proteins and this reaction is catalysed by  a  carboxylase (microsomal).
Ref : Satyanarayana, 3rd ed, pg 130